Pseudocholinesterase acts on
1. Esmolol
2. Atracurium
3. Mivacurium
4. Remifentanil

Correct answer: 3. Mivacurium

Explanation: Mivacurium is metabolised by pseudocholinesterase. Rest all are metabolisedby non specific esterase.